Length of male urethra ?
1. 3-5 cm
2. 5-10 cm
3. 10-15 cm
4. 15-20 cm

Correct answer: 4. 15-20 cm

Explanation: Ans. is'd' i.e., 15-20 cm Male Urethra It is 18-20 cm long.It extends from internal urethral orifice at the apex of trigone of bladder to external urethral orifice cose to tip of penis.it is S-shaped in flaccid penis, while it is J-shaped in the erected penis.Male urethra can be divided into three parts1. Prostatic part of urethra (3cm long)Crescentic on cross section with convexity.It passes throught prostate at the junction of anterior 1/3rd and posterior 2/3rd of the gland.It is the widest and most dilatable part.It extends from neck of urinary bladder to prostatic utricle.Features in posterior wall :Urethral crest - median longitudinal mucus foldColliculus seminalis (verumonatanum) : An elevation in the middle of urethral crest with the opening of prostatic utricle at its summit and ejaculatory duct on each side.Openings of ejaculatory ducts: These are present on each side of the orifice of utricle.Prostatic sinuses : These are vertical grooves preseent one on each side of urethral crest. They present with openings of prostatic glands.2. Membranous part of urethra (15.2-2 cm long)Stellate or irregular on cross-section.It runs from lower end of prostate through the deep perineal pouch and pierces the perineal membrane, 2.5 cm behind the lower border of public symphysis.It is the second narrowest part of urethra after external urethral orifice.It is surrounded by sphincter urethrae muscle.Bulbourethral gland are present on each side.3. Penile (spongy) part of urethra (15 cm long)It passes through bulb, body, and glans penis and terminates at the external urethral orifice close to the tip of the glans.On cross section, it is trapezoid at the bulb of penis transverse slit at the body and inverted T-shaped slit at the base of glans penis.It presents with two dilatations :Intrabulbar fossa, within the bulb andNavicular (terminal) fossa, within the glans penis.The ducts of bulbourethral glands open in the intra-bulbar fossaThe external urethral meatus is the narrowest part of urethra and is in the form of a sagittal slit about 4 mm long.